Which of the following is the ovarian counterpart of testicular seminoma
1. Brener 's tumor
2. Endodermal sinus tumor
3. Dermoid
4. Dysgerminoma

Correct answer: 4. Dysgerminoma

Explanation: DysgerminomaDysgerminoma is an ovarian counterpart of seminoma of the testes. Dysgerminomas comprise about 2% of all ovarian cancers. About 10% ofpatients with dysgerminoma have elevated hCG level in the plasma. All dysgerminomas are malignant and are extremely radiosensitive. MORPHOLOGIC FEATURES. Grossly, dysgerminoma is a solid mass of variable size. Cut section of the tumour is grey-white to pink, lobulated, soft and fleshy with foci of haemorrhages and necrosis.HISTOLOGICALLY, their structure is similar to that of seminoma of the testis. The tumour cells are arranged in diffuse sheets, islands and cords separated by scanty fibrous stroma. The tumour cells are uniform in appearance and large, with vesicular nuclei and clear cytoplasm rich in glycogen. HARSH MOHAN Textbook of pathology 6th edition pg no 747